Primordial prevention in myocardial infarction are all except -
1. Maintenance of normal body weight
2. Change in life style
3. Change in Nutritional habits
4. Screening for hypertension

Correct answer: 4. Screening for hypertension

Explanation: Ans. is 'd' i.e., Screening for hypertension * Primordial prevention is done even before the development of risk factors.* Risk factors are not allowed to develop.* In CHD:-i) Maintenance of normal body weight (prevention of development of obesity).ii) Change in life style.iii) Change in nutritional habits